Pathognomonic sign of traumatic fracture is -
1. Redness
2. Swelling
3. Crepitus
4. Tenderness

Correct answer: 3. Crepitus

Explanation: This question is slightly different from the previous one. Here the examiner is asking about the pathognomonic feature (not most consistent feature) both are different :
A most consistent feature is the one which is always present in a fracture

a. The pathognomonic feature is the one whose presence is diagnostic of a fracture

Abnormal mobility at the fracture site and crepitus are two pathognomonic features of a fracture:-


1. Abnormal mobility is the most pathognomonic sign of a fracture:-

"Abnormal mobility in the limb at the fracture site is diagnostic of a fracture". ____ Essentials of orthopaedics surgery
"Abnormal mobility in fracture of a bone is characteristic or pathognomonic".___ British medical journal
"Abnormal mobility between the fracture fragments is a sure sign of fracture". ____ Ebnezar

2. Crepitus is the second most pathognomonic sign of a fracture (after abnormal mobility):-

"Crepitus can be considered as pathognomonic as abnormal mobility for a fracture". — Emergency medicine
"Crepitus is common and essentially a reliable sign of a fracture". ____ Orthonet
"Crepitus with abnormal mobility is pathognomonic of a fracture". ____ Miller